The CNS tumor present with calcification -
1. Oligodendroglioma
2. Astrocytoma
3. Medulloblastoma
4. Pheochromocytoma

Correct answer: 1. Oligodendroglioma

Explanation: Although many intracranial tumors show calcification, oligodendroglioma shows calcification in 70-90% of cases. Ref : Robbins 8/e p1333 (